Which is not a pathologic feature H. pylori chronic gastritis?
1. Eosinophilic infiltrates
2. Intraephithelial neutrophil deposits
3. Affects intestinal gland formation in stomach
4. Subepithelial plasma cell deposits

Correct answer: 1. Eosinophilic infiltrates

Explanation: (Refer: Robbins Pathologic Basis of Disease, 8thedition, pg no: 776)
H. Pylori chronic gastritis
Morphology

Organism is concentrated within the superficial mucus overlyingepithelial cells.
H. pylori may be present in foci of pyloric metaplasia withinchronically injured duodenum or gastric-type mucosa withinBarrett esophagus.
In stomach, H. pylori are typically found in the Antrum.
When viewed endoscopically, H. pylori-infected antral mucosais usually erythematous and has a coarse or even nodularappearance
The inflammatory infiltrate generally includes variable number of neutrophils within the lamina propria,including some thatcross the basement membrane to assume an intraepitheliel location and accumulate in the lumen of gastric pits to createpit abscesses.
Superficial lamina propria has large numbers of plasma cells and increased numbers of lymphocytes and macrophages.
Intraepithelial neutrophils and subepithelial plasma cellsare characteristic of H. pylori gastritis.
When intense, inflammatory infiltrates may create thickenedrugal folds, mimicking early infiltrative lesions.
Long-standing cases involve body and fundus, and the mucosa becomes atrophic.
Lymphoid aggregates, some with germinal centers, are frequently present and represent an induced form of mucosa- associated lymphoid tissue, or MALT, that has the potentialto transform into lymphoma.

Characteristics of Helicobacter pylori-associated and Autoimmune Gastritis